Triage is -
1. Treating the most serious cases
2. Categorisation of the patients and treating them according to the available resource
3. Cautery burns
4. Treating mentally ill patients

Correct answer: 2. Categorisation of the patients and treating them according to the available resource

Explanation: - triage consists of rapidly classifying the injured on the basis of severity of their injuries and the likelihood of their survival with prompt medical intervention. - it is based on internationally accepted four colour code system. Reference: Park's textbook of preventive and social medicine, 23rd edition, pg no: 796